In maple syrup urine disease FeCl3 test with urine gives ____ color –
1. Green
2. Blue
3. Black
4. Red

Correct answer: 2. Blue

Explanation: Diagnosis 

Is usually suspected because of the peculiar odour of maple syrup found in the body fluids - urine, sweat, cerumen etc.
Diagnosis is continued by amino acid analysis showing marked elevation in plasma level of leucine, isoleucine, valine and alloisoleucine (a stereoisomer of isoleucine not normally found in blood) and depression of alanine. Leucine levels are usually higher than those of other three amino acids.
Urine contains high levels of leucine, isoleucine and valine and their respective ketoacids.
The keto acids may be detected by adding a few drops 2-4 dinitrophenylhydrazine (DNPH) reagent which produces a yellow precipitate in a positive test.
Ferric chloride gives navy blue colour with the patient's urine.